Drug used in mild hemoplilia is
1. Corticosteroids
2. DDAVP
3. Vitamin K
4. Tranexamic acid

Correct answer: 2. DDAVP

Explanation: DDAVP is an analogue of ADH. It acts on V2 receptors to cause increased release of factor VIII and vWF from the endothelium. Due to this property, it can be used for the treatment of mild hemophilia.